According to American heart association & world heart federation 2015 criteria, low risk is defined as having An Acute Rheumatic Fever incidence <---------- per 100,000 school aged children per year?
1. 1
2. 2
3. 0.1
4. 0.01

Correct answer: 2. 2

Explanation: - As per AHA & world heart federation 2015 criteria: Low risk is defined as having an Acute Rheumatic Fever incidence <2 per 100,000 school aged children (5-14 yrs) /year or Prevalence of RHD of <1 per 1000 population per year .